Rickets in neonatal period and early infancy present as all EXCEPT:-
1. Craniotabes
2. Widened fontanel
3. Rachitic Rosary
4. Bow legs

Correct answer: 4. Bow legs

Explanation: Bowing of legs appears only after weight bearing; Hence, Bow legs is a feature of rickets in toddlers and not infants.